Chendler endex is an important tool in epidemiology. Which of the following is its least likely use?
1. Determining case severity and prognosis
2. Impact of control programme
3. Endemicity
4. Load of infection in the community

Correct answer: 1. Determining case severity and prognosis

Explanation: Ans. a. Determining case severity and prognosis 'Chandler's index is still used in epidemiological studies of hookworm disease. By this index, worm loads in different population groups can be compared, and also the degree of reduction of egg output after mass treatment. Endemic Index for Hookworm Morbidity and mortality from hookworm infection depends much on the worm load. Chandler worked out an index on the basis of average number of eggs per gram of feces for the entire community Chandler's Index Below 200 Hookworm infection is not of much significance 200 - 250 May be regarded as potential danger 250 - 300 Minor public health problem Above 300 Important public health problem